Albers schonberg disease is -
1. Osteopetrosis
2. Osteoporosis
3. Osteochondritis
4. Osteomalacia

Correct answer: 1. Osteopetrosis

Explanation: Osteopetrosis is known as Marble bone disease or Alber's Schonberg disease. In this condition bone is hard as marble or as brittle as chalks. There is continued new bone deposition on unresorbed calcified cartilage and there is failure of remodelling. Reference- Maheshwari- 5th edn- pg no 317